Central precocious puberty in a girl is defined as breast development before the age of?
1. 6 years
2. 8 years
3. 12 years
4. 10 years

Correct answer: 2. 8 years

Explanation: b. 8 years(Ref: Nelson's 20/e p2656, Ghai 8/e p 534)Central precocious puberty is defined by onset of breast development before the age of 8 yrs in girls and by onset of testicular development (vol 4mL) before the age of 9 yrs in boys, as a result of early activation of hypothalamic-pituitary-gonadal axis.